Testosterone secreted by,
1. Leydig's cells.
2. Somatotropic cells.
3. Acidophilic cells.
4. Gonadotropic cells

Correct answer: 1. Leydig's cells.

Explanation: Ans:A. Leydig's cells.The hypothalamus sends a signal to pituitary gland to release gonadotrophic substances (follicle stimulating hormone and luteinizing hormone).Luteinizing hormone (LH) stimulates testosterone production.Testosterone is produced by gonads (by Leydig cells in testes in men & by ovaries in women).